HAIR-AN syndrome consists of
1. Hyperandrogenism
2. Acanthosis nigricans
3. Insulin resistance
4. All of above

Correct answer: 4. All of above

Explanation: HAIR-AN syndrome consists of hyperandrogenism (HA), insulin resistance (IR), and acanthosis nigricans (AN)It is a subset of polycystic ovarian syndrome(Refer: Nelson's Textbook of Pediatrics, SAE, 1st edition)